Hodidu lymphoma treatment -
1. ABVD is more commonly used regimen
2. Sterility is common in ABVD regimen
3. WBC > 16 x 109/L is good prognostic factor
4. None of the above

Correct answer: 1. ABVD is more commonly used regimen